The primary cause of Bennett movement is due to contraction of
1. Lateral pterygoid
2. Medial pterygoid
3. Masseter
4. Temporalis

Correct answer: 1. Lateral pterygoid